The quantity of hormone released by Progestasert per day is?
1. 25 ug
2. 45 ug
3. 65 ug
4. 85 ug

Correct answer: 3. 65 ug

Explanation: Progestasert is a commonly used IUCD which carries 38 mg of progesterone in silicone oil reservoir. It releases 65 ug of hormone per day. It acts by forming a thick plug of mucus at the cervical os which prevents penetration by the sperm. Ref: Shaw's Textbook of Gynaecology, 18th edition, p227.